All of the following are true about the upper end of tibia except -
1. Ossification center for the upper end fuses by 18 years
2. It gives attachment to meniscal cartilage on intercondylar area
3. It gives attachment to semi-membranosus
4. Posterior aspect of patella articulates with upper end of tibia laterally

Correct answer: 4. Posterior aspect of patella articulates with upper end of tibia laterally

Explanation: Secondary ossification centre for upper end fuses with the shaft at 16- 18 years.
Attachment in the intercondylar area (Before backwards)
-        Anterior horn of medial meniscus
-        Anterior cruciate ligament
-        Anterior horn of lateral meniscus
-        Posterior horn of lateral meniscus
-        Posterior horn of medial meniscus
-        Posterior cruciate ligament
Posterior surface of patella, only the upper 3/4th is articular, which articulates with femur at different phases of movement of knee joint.